Corpulence index means
1. Measurement of copper level in the serum
2. Measurement of obesity
3. Measurement of iron loss in faeces
4. Pressure difference between various chambers of the heart

Correct answer: 2. Measurement of obesity

Explanation: Corpulence index = actual weight divided by the desirable weight(Ref: Park 20/e p348)